The following is also known as "Knock out drops" or "micky finn :
1. Chloroform
2. Methyl alcohol
3. Chloral hydrate
4. Ethylene glycol

Correct answer: 3. Chloral hydrate

Explanation: C i.e. Chloral hydrate